Which one of the following is not a feature of clear cell carcinoma of the kidney?
1. Bony secondaries
2. Childhood tumour
3. Haematuria
4. Renal vein invasion

Correct answer: 2. Childhood tumour

Explanation: * Clear cell carcinoma arises from Proximal Convoluted Tubule * Most common ,associated with VHL gene mutation, invade the renal vein& bony secondaries. * Clinical features : -Hematuria -Palpable mass -Costovertebral pain -Fever/ weight loss/malaise * It is not a childhood tumor.